Which of the following drugs can be given safely in pregnancy
1. Amoxicillin
2. Methotrexate
3. Warfarin
4. Tetracycline

Correct answer: 1. Amoxicillin

Explanation: Drugs are causing teratogenic effect - methotrexate- cleft palate, hydrocephalus, multiple defects, foetal death Warfarin - depressed nose; eye and hand defects, growth retardation Tetracycline-discolored and deformed teeth, retarded bone growth AMONG antibiotics, amoxicillin is comparatively safe Ref:KD Tripathi pharmacology 7th edition (page.no: 85)